A patient with mitral stenosis had had to undergo surgery.pre-anaesthetic checkup revealed the increased liver enzymes. Which of the following inhalational agent should be preferred in this patient?
1. Xenon
2. Enflurane
3. Halothane
4. Sevoflurane

Correct answer: 1. Xenon

Explanation: Xenon is an inert gas that has properties very close to an ideal anesthetic. Rapid induction and recovery and is insoluble in blood. No effect on hepatic, renal and pulmonary function. No significant cardiovascular side effects. Halothane causes myocardial depression. Enflurane is safer in liver disease. Hence xenon is preferred. From Padmaja 4th edition Page no 193